Primary prevention of obesity includes:
1. Low fiber diet
2. High fiber diet
3. High cholesterol diet
4. High intake of protein

Correct answer: 2. High fiber diet

Explanation: Ans. B (High fiber diet) Prevention of obesity should begin in early childhood. The control of obesity centres around weight reduction.Prevention of Obesity# Dietary ch anges: Low fat and carbohydrate diet; high fiber dietQ# In crease physical activity: Regular physical exerciseQOther: health education sLevels of Prevention; ReviewPrimordial Prevention (Prevention of Emergence of Risk Factors)QThis is prevention of emergence or development of Risk Factor in a population group. (In primordial prevention effects are directed towards discouraging children from adopting harmful lifestyleQThis is primary prevention in purest senseIt is receiving special attention in the prevention of chronic diseaseIntervention method - Health Education'-/Mass & individual)Primary Prevention (Prevention of Emergence of Disease: Risk Factors Already Present) QPrimary prevention aims at preventing the emergence of disease in patients with existing risk factors:7It signifies intervention in the prepathogenesis phaseQ of diseaseIntervention involves health promotion Q and specific protectionQThe term "Health protection" which is quite often used is not synonymous with specific protection. Health protection covers a much wider field of health activities than specific protection.Specific Protection Health promotion is 'the process of enabling people to increase control over, and to improve health"* Health education* Environmental modification* Nutritional intervention* Lifestyle and behavioral changeSpecific Protection To avoid disease altogether is the ideal but this is possible only in a limited number of cases.* Avoidance of allergens* Tbe control of specific hazards in the general environment, e.g, air pollution, noise control* Control of consumer product quality and safety of foods, drugs, cosmetics, etc* ImmunizationQ* Use of specific nutrients e.g. Vitamin AQSecondary' Prevention (Prevention of Progress of Disease: Disease Already Present)Secondary prevention aims at preventing progress of disease in patients who are already diseasedIntervention involves early diagnosis & treatmentQStrictly speaking, early diagnosis and treatment cannot be called prevention because the disease has already commenced in the host.Early diagnosis and treatment not as effective and economical as "primary prevention"Tertiary Prevention (Prevention of Impairment / Disability from Disease)# Tertiary prevention aims at preventing impairment and disability7 from disease# It signifies intervention at late pathogenesis phaseQ# Intervention involves disability' limitation and rehabilitationQ